Structures pierced in lumbar spinal puncture are all of the following except:
1. Ligamentum flavum
2. Duramater
3. Supraspinous ligament
4. Posterior Longitudinal ligament

Correct answer: 4. Posterior Longitudinal ligament

Explanation: Ans. D: Posterior Longitudinal ligament Structures encountered while giving spinal anaesthesia are 1) skin, 2) subcutaneous tissue, 3) supraspinous ligaments, 4) interspinous ligaments, 5) ligamentum flavum, 6) dura and 7) arachnoid Spinal anaesthesia: Site of administration in adults: L4-L5 Site of administration in childrens: L3-L4 Autonomic preganglionic fibres (sympathetic) are earliest to be blocked Contraindication of spinal anaesthesia: - Severe hypovolumia - Marked coagulopathy - Blood dyscrasia - Raised intracranial pressure Ephedrine is the agent of choice as a vasopressor In high/ total spinal anaesthesia: Marked hypotension, apnea, dilated pupils and bradycardia is seen